Characteristic bodies in Lichen planus:
1. Civatte bodies
2. HP bodies
3. Warthin Fiekendly Bodies
4. Negri bodies

Correct answer: 1. Civatte bodies

Explanation: Ans. a. Civatte bodiesCivatte or colloid bodies are apoptotic (degenerating) basal keratinocytes